Presence of cholesterol crystal in pleural effusion is a feature of :
1. Myxoedema
2. Hypertriglyceridemia
3. Hyperthyroidism
4. Sarcoidosis

Correct answer: 1. Myxoedema

Explanation: Answer is A (Myxoedema): Pleural effusion with cholesterol crystals Hypothyroidism (myxoedema) T.B. Rheumatoid arthritis